ESI act is under which minstry -
1. Ministry of human resources developments
2. Ministry of social welfare
3. Ministry of labour and employment
4. Ministry of health 8c education

Correct answer: 3. Ministry of labour and employment

Explanation: Ans. is 'c' i.e., Ministry of labour and employment* Employees' state insurance (abbreviated as ESI) is a self-financing social security and health insurance scheme for indian workers. This fund is managed by the employees' state insurance corporation (ESIC) according to rules and regulations stipulated there in the ESI Act 1948. ESIC is an autonomous corporation by a statutory creation under ministry of labour and employment government of India.